Normal daily faecal fat excretion:
1. 0-5 gm
2. 5-10 gm
3. 10-15gm
4. 15-20gm

Correct answer: 1. 0-5 gm

Explanation: Fats excretion less than 7 gm per day in feces is considered normal. More than this amount in feces indicates malabsorption; more than 8 gm/day in feces is called steatorrhea